Relative risk of developing TB in patients already infected with TB bacillus is highest in:
1. Diabetes
2. Recent infection
3. Post transplantation
4. Malnutrition

Correct answer: 3. Post transplantation

Explanation: Condition Relative risk of developing TB (in decreasing order) Post transplantation 20-70 HIV 30 Silicosis 30 Recent infection 12 Diabetes 3-4 Malnutrition 2-3